Which viral infection always causes clinical disease in human beings-
1. Rubella
2. Poliomyelitis
3. Measles
4. Chicken pox

Correct answer: 3. Measles

Explanation: Rubella unfections are in fact subclinical.This represents the one of the major difference between measles and rubella(Ref.PARK'S TEXTBOOK OF PREVENTIVE AND SOCIAL MEDICINE 21st Edition page no.136)